Paget's disease of breast following are true except
1. Treated by wide excision
2. Represents underlying malignancy
3. Presents as eczema
4. Usually associated with lobular ca in situ

Correct answer: 4. Usually associated with lobular ca in situ

Explanation: Paget 's disease of nipple is the supaerficial manifestation of intraductal carcinoma.It mimics eczema of nipple and areola.A hard nodule may be seen under the areola.Usualy unilateral,itching and vesicles absent. SRB's Manual of Surgery.Edition -5. Pg no:533